Indications ofContinuous renal replacement therapy(CR) are all except -
1. Hyperglycemia
2. Hyperkalemia
3. Metabolic acidosis
4. Uremic symptoms

Correct answer: 1. Hyperglycemia

Explanation: Indications for Initiation of Continuous Renal Replacement Therapy - Volume overload Metabolic acidosis Electrolyte abnormalities Hyperkalemia Hyponatremia Hyperphosphatemia Uremia Encephalopathy Pericarditis Persistent/progressive acute kidney injury